In case of burns which graft is better?
1. Thiersch graft
2. Wolfe graft
3. Pedicle graft
4. Patch graft

Correct answer: 1. Thiersch graft

Explanation: Thiersch graft is split thickness graft used for burns.